Which of the following is used as preanesthetic medication which causes the longest amnesia?
1. Midazolam
2. Diazepam
3. Lorazepam
4. Flunitrazepam

Correct answer: 3. Lorazepam

Explanation: The longest amnesia is produced by lorazepam although half life of lorazepam (15 hours) is shorter than diazepam (36 hours) and this is probably because of its strong receptor binding potential. Its relatively potent amnesic effect, with its anxiolytic and sedative effects, makes lorazepam useful as premedication.